Which is the most frequently involved artery in acute pancreatitis leading to pseudoaneurysm?
1. Splenic artery
2. Superior pancreatico duodenal artery
3. Inferior pancreaticoduodenal artery
4. Gastroduodenal artery

Correct answer: 1. Splenic artery

Explanation: Pseudoaneurysms develop in up to 10% of patients with acute pancreatitis. The splenic artery is most frequently involved. Reference: Harrisons Principles of Internal Medicine, 18th Edition, Page 2642